Which of the following is not an action of epinephrine when administered intravenously in a high dose?
1. Increases liver glycogenolysis
2. Causes broachiolar constriction
3. Evokes extrasystoles in the heart
4. Produces restlessness and anxiety

Correct answer: 2. Causes broachiolar constriction